A 46-year-old woman stepped on a broken wine bottle and the sharp glass entered the posterior part of her foot. The patient was admitted to the hospital, and a physical examination concluded that her lateral plantar nerve had been transected . Which of the following conditions will most likely be confirmed by physical examination?,
1. Loss of sensation over the plantar surface of the third toe
2. Paralysis of the abductor hallucis
3. Paralysis of the interossei and adductor hallucis
4. Flexor hallucis brevis paralysis

Correct answer: 3. Paralysis of the interossei and adductor hallucis

Explanation: The Lateral plantar nerve innervates the interossei and adductor hallucis. These losses would be obvious when the patient attempts to abduct and adduct the toes. Sensations would be absent over the lateral side of the sole,little toe and half of the fourth toe. The Medial plantar nerve provides sensations over the plantar surface of the medial three and a half fourth toes as well as function of the so-called LAFF muscles: first lumbrical, abductor hallucis, flexor hallucis brevis, and flexor digitorum brevis.